A 6-year-old child with recurrent URTI with mouth breath ing and failure to grow with high arched palate and impaired hearing should be managed by
1. Tonsillectomy
2. Myringotomy with grommet insertion
3. Adenoidectomy with grommet insertion
4. Grommet insertion

Correct answer: 3. Adenoidectomy with grommet insertion

Explanation: The child is having recurrent URTI with high arched palate and failure to grow which indicates child is having adenoids and since there is impaired hearing it means child has developed otitis media as a complication. Hence logically the child should be treated with adenoidectomy with grommet insertion. Ref:- Scott Brown; pg num:- 896-906